Tacrolimus level is increased by all EXCEPT :
1. Erythromycin
2. Itraconazole
3. Danazole
4. Rifampicin

Correct answer: 4. Rifampicin